Regarding Anopheles mosquito true is all EXCEPT:
1. Eggs are laid singly on water
2. Larva don't have siphon
3. Wings are spotted
4. Pupa don't have siphon

Correct answer: 4. Pupa don't have siphon

Explanation: Ans. is 'd' i.e., Pupa don't have siphon